A 41-year-old woman with one healthy child presents with a 3-year history of an inability to conceive despite normal menstrual cycles. A biphasic basal body temperature chart is recorded. She denies having any sexually transmitted disease, and a hysterosalpingogram shows patent uterine tubes and a normal uterine cavity. Her husbands semen analysis is normal. In the presence of several normal test results for infertility, a laparoscopic examination of the pelvic cavity is scheduled. The physician performing the procedure carefully places the trocar lateral to the rectus abdominis muscle and its sheath to avoid injury to a major artery. What artery is being avoided?
1. Superior epigastric artery
2. Inferior epigastric artery
3. Superficial epigastric artery
4. Superficial circumflex iliac artery

Correct answer: 2. Inferior epigastric artery

Explanation: The presence of several normal test results indicates a need to rule out endometriosis in this infertile couple. This tissue responds to a woman's hormonal cycles in the same way that the lining of the uterus responds. The arteries, their companion veins, and the nerves supplying the muscles of anterior abdominal wall are all found in the interval between the internal abdominal oblique and the transverses abdominis muscles (neurovascular plane). Superficial and deep circumflex iliac arteries arise from the femoral and external iliac arteries course parallel to the inguinal ligament and supply the inferior abdominal wall in the inguinal region. The superficial epigastric arteries lie in the superficial fascia between the umbilicus and the pubic bone. The internal thoracic arteries divide into two terminal branches: the superior epigastric and musculophrenic arteries.